Discontinuation of which of the following drugs can result in anxiety and insomnia?
1. Venlafaxine
2. Imipramine
3. Valproate
4. Olanzapine

Correct answer: 1. Venlafaxine

Explanation: Ans. (A) Venlafaxine(Ref: KDT 8th/489)All antidepressants including SSRIs and SNRIs can result in discontinuation syndrome. The symptoms of withdrawal include dizziness, headache, nervousness, nausea and insomnia.This withdrawal is more intense with paroxetine and venlafaxine because these are relatively short acting.